Male patient with EHL weakness
1. L4-L5 slip disc
2. L5-S1 slip disc
3. S2-S3 slip disc
4. L2-L3 slip disc

Correct answer: 1. L4-L5 slip disc

Explanation: (A) L4-L5 slip disc CLINICAL FEATURES OF LUMBAR DISC PROLAPSENerve Root CompressedL1L2L3L4L5S1Level of Disc ProlapseT12-L1L1-L2L2-L3L3-L4L4-L5L5-S1PainThoraco lumbar junction groin, proximal part of thighThoracolumbar junction, groin, proximal part of thighUpper lumbar spine, atnerior aspect of proximal thighLower back, hip, posterolateral thigh, anterior legSacroiliac joint, hip, lateral thigh & lateral legSacroiliac joint, hip, posteriolateral leg to heelParesthesiaOblique band proximal 3rd of thigh anteriorly just below inguinal ligamentOblique band mid 3rd of thigh anteriorlyOblique band lower part of thigh anteriorly just above the kneeMedial to shin of tibia, medial aspect of the footLateral leg, dorsum of foot, 1st web spacePosterior aspec: of thigh, back of calf lateral side & sole of footMuscle Affected MainlyIliopsoas (Hip flexion)Iliopsoas (Hip flexion), Quadriceps (Knee extension), adductor brevis, longus magnus (Hip adduction)Iliopsoas (HIP flexion), Quadriceps (knee extension), adductor brevis, longus, magnus (Hip adduction)Tibialis anterior (foot inversion), Quadriceps (knee extension), adductor brevis, longus magnus (Hip)Extensor Hallucis Longus (Dorsiflexion of great toe), Extensors brevis (Dorsiflexion of foot), GluteusPeroneus Longus & Brevis (Foot eversion), Flexor hallucis longus (Plantar flexion of great toe), Flexor digitorum longus & brevis> Extensor hallucis longus is a thin muscle, situated between Tibialis anterior and Extensor digitorum longus, functions to extend big toe and dorsiflex foot, & assists with foot eversion and inversion.> Innervation: Deep peroneal (fibular) nerve, branch of common peroneal (fibular) nerve (L4, L5, S1).